CAPLACIZUMAB is used for treatment of?
1. Acquired Thrombotic Thrombocytopenic Purpura (aTTP)
2. Plaque Psoriasis
3. Breast cancer
4. Bladder cancer

Correct answer: 1. Acquired Thrombotic Thrombocytopenic Purpura (aTTP)

Explanation: CAPLACIZUMAB: a. It is a Von - Willebrand factor (vWF) directed antibody fragment b. Target the A1 - domain of vWF, and inhibits the interaction between vWF and platelets, thereby reducing both vWF - mediated platelet adhesion and platelet consumption. c. Used for treatment of acquired Thrombotic Thrombocytopenic Purpura (aTTP)